The X-ray of a traumatized tooth is important because
1. To determine root fracture
2. To asses the stage of root development
3. As basis for future treatment
4. All the above

Correct answer: 4. All the above